The commonest site of an intraperitoneal abscess
1. Pelvis
2. Subphrenic space
3. Periappendicular
4. Paracolic gutter

Correct answer: 1. Pelvis

Explanation: Pelvis is the most common intraperitoneal abscess.(50-60%).It is the collection of pus in rectovesical or rectouterine pouch(pouch of Douglas). The pelvis is the commonest site of an intraperitoneal abscess because the vermiform appendix is often pelvic in position and the fallopian tubes are frequent sites of infection. Reference:Bailey & Love's short practise of surgery,25th edition,page no:996;SRB's manual of surgery,5th edition,page no:576.